An anaesthetist is using Mallampati classification for which of the following purpose?
1. Inspection of oral cavity before intubation
2. Size of the airway
3. Size of the ET tube
4. Tracheostomy tube

Correct answer: 1. Inspection of oral cavity before intubation

Explanation: Mallampati classification is based on the structures seen with maximal mouth opening and tongue protrusion without phonation in the sitting position. The observer's eye should be at the level of the patient's mouth. This classification correlates with intubation difficulty. Mallampati classification (Modified by Samsoon and Young): Mallampati Class Intraoral structures visible Class I Soft palate, fauces, uvula, pillars Class II Soft palate, fauces, portion of uvula Class III Soft palate, base of uvula Class IV Hard palate only (later added by Samsoon and Young)